Antioxidant property is seen in ?
1. Chromium
2. Selenium
3. Magnesium
4. Iron

Correct answer: 2. Selenium

Explanation: Ans. is `b' i.e., Selenium